Micronodular cirrhosis is commonly seen in all except -
1. Chronic hepatitis B
2. Alcoholic liver disease
3. Hemochromatosis
4. Chronic extrahepatic biliary obstruction

Correct answer: 1. Chronic hepatitis B

Explanation: Davidson's principles and practice of medicine 22nd edition. #macronodular cirrhosis is characterised by larger nodules of variable size .Areas of previous collapse of liver architecture are evidenced by large fibrous scar.